Renal TB mode of infection -
1. Direct from bowel
2. Ascending
3. Hematogenous
4. Lymphatic

Correct answer: 3. Hematogenous

Explanation: Ans. is 'c' i.e., Hematogenous o Genitourinary tuberculosis is always secondary to pulmonary infection, though in many cases, the primary' focus has healed or is quiescent,o Infection occurs via the hematogenous route.o Most common genitourinary' tuberculosis site is ----- Kidney (Ref CSDT 13/e)